Espundia is a condition seen in:
1. Endemic syphilis
2. Malaria
3. Lympho Granuloma Venereum
4. Mucocutaneous leishmaniasis

Correct answer: 4. Mucocutaneous leishmaniasis

Explanation: (Refer: Paniker’s Textbook of Medical Parasitology, 7th edition, pg no: 50)
Disease spectrum of Leishmania

Old world Leishmaniasis